Major psychosis is -
1. Neurosis
2. Dementia
3. Reactive depression
4. Endogenous depression

Correct answer: 4. Endogenous depression

Explanation: Psychotic features occur in endogenous depression (not in reactive depression) → Endogenous depression is a psychosis.
Neurosis & Dementia are not major psychoses.